An elderly man develops syncope. He is known to have IHD. Peripheral pulses are absent, BP is not recordable and ECG reveals wide complex tachycardia. Immediate management consists of which of the following?
1. Thrombolysis with tissue plasminogen activator
2. A bolus dose of lidocaine
3. DC cardioversion
4. IV phenylephrine and carotid sinus pressure

Correct answer: 3. DC cardioversion